Heparin when given In pregnancy should be supplemented with
1. Zinc
2. Calcium
3. Folic acid
4. Ferrous sulphate

Correct answer: 2. Calcium

Explanation: Heparin-Induced Bone loss may develop with long-term heparin administration--usually 6 months or longer--and is more prevalent in cigarette smokers Un-fractionated Heparin can cause osteopenia, and this is less likely with LMWH Women treated with any heparin should be encouraged to take a daily 1500-mg calcium supplement.